Cardiotoxicity of bupivacaine -
1. Depressed pacemaker activity
2. Toxic compound damaging myocardial cells
3. Depressed neural control on heart
4. Vascular thrombosis and Myocardial ischemia

Correct answer: 1. Depressed pacemaker activity

Explanation: Ans. is 'a' i.e., Depressed pacemaker activity o Local anaesthetics block cardiac sodium channels and thus depress abnormal cardiac pacemaker activity, excitability, and conduction. At extremely high concentrations, local anaesthetics can also block calcium channels.